Warfarin to be stopped__ days before surgery
1. 2 to 3 days
2. 4 to 5 days
3. 6 to days
4. 8 to 9 days

Correct answer: 2. 4 to 5 days

Explanation: Warfarin should be stopped 4 to 5 days before surgery. clinical implication : to replenish coagulation factors. Monitor PT with INR* , aPTT,ACT. In emergency cases, give Inj.vitamin K., if bleeding continues give FFP,croprecipitate transfusions.